Selective COX-2 inhibitors are-
1. Celecoxib
2. Indomethacin
3. Naproxen
4. All

Correct answer: 1. Celecoxib

Explanation: Ans. is 'a' i.e., Celecoxib o COX-2 inhibitors are i) Celecoxib iii) Valdecoxib v) Rofecoxib ii) Etoricoxib vi) Lumitracoxib vi) Parecoxib